Most common cause of hydronephrosis in children
1. Ureterocoele
2. Ureteric stricture
3. Watermelon prostate
4. Congenital PUJ obstruction

Correct answer: 4. Congenital PUJ obstruction

Explanation: Congenital PUJ obstruction is MCC for hydronephrosis in children.